The primary reason for replacing teeth destroyed due to
nursing bottle syndrome is
1. Speech and esthetics
2. Form and function
3. Incising and mastication
4. Arch perimeter requirements in the transitional dentition

Correct answer: 1. Speech and esthetics